Spinal anesthesia is given at which of the following levels :
1. L1-2
2. L2-4
3. Midline of thorax
4. Below L5 (caudal)

Correct answer: 2. L2-4

Explanation: B i.e. L24 Spinal anesthesia is usually injected at L2-3, L34 or sometimes 1,4-5 space in adultsQ.